Transverse fracture of the patella with separation of fragments is best treated by
1. Closed reduction with cylinder cast
2. Open reduction with screw fixation of the fragments
3. Blind fixation of the two fragments with Kirschner wire
4. Open reduction with Kirschner wire fixation of the fragment an tension band wiring

Correct answer: 4. Open reduction with Kirschner wire fixation of the fragment an tension band wiring

Explanation: D i.e. Open reduction with Kirschner wire fixation of the fragment an tension band wiring